Which of the following is primary prevention-
1. Screening test
2. Early diagnosis
3. Use of mosquito net
4. Restoration of lost function

Correct answer: 3. Use of mosquito net